Which of the following Anti-retro viral agent can cause bone marrow suppression?
1. Ritonavir
2. Zidovudine
3. Stavudine
4. Didanosine

Correct answer: 2. Zidovudine

Explanation: ZIDOVUDINE: Is a NRTI (NUCLEOSIDE REVERSE TRANSCRIPTASE INHIBITOR) against HIV-1, HIV-2 and HTLVs I and II. It causes Competitive inhibition but no impact on cells already infected with HIV . It causes Bone Marrow Suppression, Lipodystrophy, Erythrocytic Macrocytosis, Skeletal muscle myopathy, Hepatic toxicity and on chronic use can cause Nail hyperpigmentation